All of the following are true about metformin EXCEPT:
1. Causes little or no hypoglycemia in non diabetic patients
2. Acts by increased insulin secretion
3. Increases peripheral utilization of glucose and decreases absorption of glucose from intestine
4. When given with alcohol, increases risk of lactic acidosis

Correct answer: 2. Acts by increased insulin secretion